The effectivity of NORPLANT remains for :
1. 3 years
2. 5 years
3. 7 years
4. 10 years

Correct answer: 2. 5 years

Explanation: Jadelle or Norplant 2 is a levonorgestrol contraining subdermal implant in 2 sialistic rods and is approved to use for 5 years Reference: William's Textbook of Obstetrics 24th edition page no 723